Proteins which is having DNA binding domain in its structure:
1. Zinc finger
2. p- sheet
3. 13-band
4. None

Correct answer: 1. Zinc finger

Explanation: A i.e., Zinc finger